Length of stab gives information about -
1. Length of blade
2. Width of blade
3. Angle of insertion
4. Thickness of the blade

Correct answer: 2. Width of blade

Explanation: The synopsis of forensic medicine & toxicology ; Dr k.s narayan reddy ; 28th edition ; Pg.no. 114 : The length of the wound is slightly less than the width of the weapon upto which it has been driven in ,because of the stretching of the skin . Therefore length of stab wound gives information of the width of the weapon .